Silk is which class of suture?
1. 1
2. 2
3. 3
4. None

Correct answer: 1. 1

Explanation: United States of pharmacopeia classification of suture
Class 1...silk
Class 2...cotton
Class 3...metal suture